Risk factor for malignant melanoma all the following are risk factors fore malignant melanoma except
1. Giant congenital nevi
2. Family history melanoma
3. Exposure to UV light
4. HPV infection

Correct answer: 4. HPV infection

Explanation: Answer- D. HPV infectionrisk factor for malignant melanoma is exposure to (UV radiation)Dysplastic nevus (DN) syndrome; 5-10% risk of forming superficial spreading mil*o^u.Xeroderma pigmentosumHistoryon nonmelanoma skin cancer (NMSC)Family history of melanoma (high risk)Congenital nevi